Primitive streak develops from?
1. Mesoderm
2. Hypoblast
3. Epiblast
4. Neural plate

Correct answer: 3. Epiblast

Explanation: Around day 14, the epiblast cells form primitive streak,. Notochord is formed by the mesoderm cells developed by epiblast cells.